A person developing hatredness towards his brother starts, overcaring him and brings gifts to him.This is an example of
1. Sublimation
2. Passive aggression
3. Reaction formation
4. Dissociation

Correct answer: 3. Reaction formation

Explanation: Reaction formation is a neurotic defense mechanism where an individual transforms his feelings into exact opposite.